In Wilsons disease copper deposition occurs in -
1. Pons
2. Medulla
3. Cerebellum
4. Basal ganglia

Correct answer: 4. Basal ganglia

Explanation: Ans. is 'd' i.e., Basal ganglia C.N.S. involvement in Wilson's diseaseo In brain, the toxic injury primarily affects the basal ganglia particularly the putamen which demonstrates atrophy and cavitation.o The involvement of basal ganzlia produces extrapvramidal svmptoms which are -# Dystonia# Incoordination# Tremor# Dysphagia# Dysarthria# Choreao Memory loss, migraine headaches and seizures too can occur.o Patients can have difficulty in concentrating on tasks but cognition is usually not impaired.o Remember that Sensory abnormalities and muscular weakness are not seen in this diseased